The amino acid that produces kinks in the b pleated structure of proteins is
1. Glycine
2. Serine
3. Proline
4. Alanine

Correct answer: 3. Proline

Explanation: Proline and 4hydroxy proline confer strength to fibrous proteins like collagen,elastin,keratin etc. in their beta pleated structureRef: DM Vasudevan - Textbook of Biochemistry, 7th edition, page no: 244